what Type of collagen is found in bone ?
1. Type 1
2. Type 2
3. Type 3
4. Type 4

Correct answer: 1. Type 1

Explanation: Type 1 collagen fibres,derived from tropocollagen molecules produced by osteoblasts,make up over 80 percent of unmineralized matrix. They form a network which emboides a mucopolysaccharide(proteoglycans)ground substance and also acts as a scaffold on which the mineral component-crystalline hydroxyapatite is deposited. ref: apley's textbook,9th edition page no.118